CNS lupus manifestations include all of the following except
1. Seizures
2. Psychosis
3. Encephalopathy
4. Hemorrhage

Correct answer: 4. Hemorrhage